Fatty acids are not used by which organ -
1. Heart
2. Liver
3. Muscle
4. Brain

Correct answer: 4. Brain

Explanation: Ans. is 'd' i.e., Brain